Adrenal medulla secretes:
1. Sex hormones
2. Thyroid stimulating hormones
3. Epinephrine
4. Glucocorticoid

Correct answer: 3. Epinephrine

Explanation: Tyrosine - L-dopa - Dopamine - Noradrenaline - Adrenaline Coversion of Noradrenaline to Adrenaline requires the following enzyme - PNMT: Phenylethanolamine N- methyltransferase PNMT: Not present in sympathetic post ganglionic nerve fibers Therefore, sympathetic post-ganglionic nerve fibers release norepinephrine